Defect in amblyopia lies in:
1. Lateral geniculate body
2. Afferent pupillary reflex
3. Rods and cones
4. Retina

Correct answer: 1. Lateral geniculate body

Explanation: Ans. Lateral geniculate body